Among the given hormones which are stored the longest in a cell
1. Insulin
2. T3
3. PTH
4. Testosterone

Correct answer: 2. T3

Explanation: Hormone Supply Stored in CellSteroids and 1,25(OH)2-D3NoneCatecholamines and PTHHoursInsulin DaysT3 and T4WeeksRef: Harper; 30th edition; Pg:515